Best treatment for kawasaki's disease is:
1. Aspirin
2. I.V. immunoglobulins
3. Corticosteroids
4. Methotrexate

Correct answer: 2. I.V. immunoglobulins

Explanation: Ans. (B) IV immunoglobulins(Ref: CMDT 2012/1378-1379)Every patient with a clinical diagnosis Kawasaki disease should be treated.IVIG is given within the first 10 days of illness.Concomitant aspirin should be started until the patient is afebrileIf fever persist beyond 36 hours after the initial IVIG infusion, a new dose of IVIG should be given if no other source of fever is found.Methylprednisolone should follow if the disease persists after the second IVIG administration.Further options for refractory cases include TNF blockers (e.g., infliximab), cyclophosphamide, methotrexate, and plasmapheresis.